The most common cause of hirsutism:
1. Drug induced
2. PCOS
3. Endometriosis
4. Adenomyosis

Correct answer: 2. PCOS

Explanation: Hirsutism M/C cause : PCOS Due to Hyperandrogenism Increase Androgen- increase Serum Testosterone & Andronstendione - decrease Sex hormone binding globulin- increase Free Androgen - Hirsutism Drugs for management of hirsutism OCP containing anti androgenic progesterones Spironolactone Cyproterone Acetate Other drugs- Flutamide Finasteride Ketoconazole Topical Eplornitihine Metformin GnRH Agonists